Horrok's apparatus determines Chloride which has to have a holding level of -
1. 0.1 mg\/L
2. 1 mg\/L
3. 0.01 mg\/L
4. 0.5 mg\/L

Correct answer: 4. 0.5 mg\/L

Explanation: Roughly 2.5 grams of good quality bleaching powder would be required to disinfect 1,000 liters of water.This will give an approximate dose of 0.7 mg of applied chlorine per litre of water (refer pgno:718 park 23rd edition)